Non Anionic gap acidosis is seen in
1. Diarrhoea
2. Lactic acidosis
3. Salicylate poisoning
4. Diabetic ketoacidosis

Correct answer: 1. Diarrhoea

Explanation: (A) Diarrheoa # CAUSES OF NON-ANION GAP METABOLIC ACIDOSIS> Gastrointestinal bicarbonate loss: Diarrhea; External pancreatic or small-bowel drainage; Ureterosigmoidostomy, jejunal loop, ileal loop Drugs: Calcium chloride (acidifying agent); Magnesium sulfate (diarrhoea); Cholestyramine (bile acid diarrhea)> Renal acidosis: Hypokalaemia Proximal RTA (type 2) Distal (classic) RTA (type 1)> Hyperkalemia: Generalized distal nephron dysfunction (type 4 RTA) Mineralocorticoid deficiency Mineralocorticoid resistance inc. Na+ delivery to distal nephron Tubulointerstitial disease Ammonium excretion defect> Drug-induced hyperkalemia (with insufficiency):Potassium-sparing diuretics (amiloride, triamterene, spironolactone) Trimethoprim Pentamidine Angiotensin-converting enzyme inhibitors and AT-II receptor blockers Nonsteroidal anti-inflammatory drugs Cyclosporine> Others: Acid loads (ammonium chloride, hyperalimentation) Loss of potential bicarbonate: ketosis with ketone excretion Expansion acidosis (rapid saline administration) Hippurate, Cation exchange resins In lactic acidosis, DKA and salicylate poisoning high anionic gap metabolic acidosis is seen.